Which of the following is not a feature of atypical depresslon?
1. TCAs are better than MAO and SSRI for treatment
2. Variable Mood responding to positive stimulus in surroundings
3. Increased sleep and weight gain
4. Marked fatigue and heaviness in the body

Correct answer: 1. TCAs are better than MAO and SSRI for treatment

Explanation: Ans. A : TCAs are better than MAO and SSRI for treatment(Ref: Complete review ofpsychiatry by Dn Prashant Agrawal, ed-, 201g, ch - 3, pg, 60)SymptomAtypicalMood reactivityMood reactivity present (brightens in response to positive events)Weight appetite SleepSignificant weight gain or increase in appetite Excessive sleep all through the dayPsychomotor activityLeaden paralysis (heavy feeling in arms, legs)Personality thinkingInterpersonal rejection sensitivity not limited to mood episodesDiurnal variationDepression likely worse inevening (not part of diagnostic criteria)